Enlarged Pulsative liver with ascitis is typically seen in:
1. Tricuspid Regurgitation (TR)
2. Mitral Regurgitation (MR)
3. Mitral stenosis
4. Pulmonary stenosis (PS)

Correct answer: 1. Tricuspid Regurgitation (TR)

Explanation: Answer is A (Tricuspid Regurgitation (TR) Hepatomegaly (Enlarged liver) with systolic pulsations (of the liver) and ascitis are typically seen in Tricuspid Regurgitation. Tricuspid Regurgutation The clinical features of Tricuspid Regurgitation result primarily from systemic venous congestion and reduction in cardiac output. Typical Physical Examination Findings in Tricuspid Regurgitation Gross Fluid Retention - Significant Peripheral Edema - Ascitis - Pleural Effusion Hepatomegaly with a Pulsatile liver (Enlarged tender liver with systolic pulsations) Positive hepatojugular reflux Dilated Jugular veins with prominent 'v' waves and rapid `),' decent Blowing Holosystolic murmur along lower left sternal margin that increases with inspiration Prominent RV Pulsations (Parasternal Heaves) over left parasternal region.